All of the following are topically used sulphonamides except -
1. Sulphacetamide
2. Sulphadiazine
3. Silver sulphadiazine
4. Mafenide

Correct answer: 2. Sulphadiazine

Explanation: Ans is 'b' i.e., Sulphadiazine Topical Sulfonamides - Sulfacetamide sodium, Mafenide, silver sulfadiazine.